True about slipped femoral capital epiphysis is:
1. Seen in thin children
2. Treethowan sign seen
3. Major traumatic condition
4. Seen in adults

Correct answer: 2. Treethowan sign seen

Explanation: Slipped capital femoral epiphysis (SCFE) mainly occurs between the ages of 10 and 16 years. SCFE results from a Salter-Harris type physeal fracture. In patients with SCFE, the epiphyseal growth plate is unusually widened, primarily due to expansion of the zone of hypertrophy. Trethowan's sign: A line (Klein's line) drawn along the superior border of the femoral neck transects the femoral head. In SCFE the line passes above the femoral head.